All are cytokines except
1. Monoclonal antibody
2. Interleukins
3. Chemokines
4. TNF

Correct answer: 1. Monoclonal antibody

Explanation: ref Robbins 9/e p86 Monoclonal antibodies (mAb or moAb) are antibodies that are made by identical immune cells that are all clones of a unique parent cell. Monoclonal antibodies can have monovalent affinity, in that they bind to the same epitope (the part of an antigen that is recognized by the antibody).